Glucocorticoids act in inflammation mainly by
1. (downward arrow) Lipocortin
2. increasing IL-2
3. (upword arrow) Lipocortin
4. increasing CRP

Correct answer: 3. (upword arrow) Lipocortin

Explanation: Glucocorticoid helps in induction of lipocortins in macrophages. Lipocortins inhibits phospholipase A2 enzyme present in the cell membrane and thus lead to decrease production of prostaglandins, Leukotriens which are responsible for inflammation. (REF.Essential of medical pharmacology K D TRIPATHI 6 Edition, Page No - 279)